Praterm baby is
1. Babies born before the end of 30 weeks
2. Babies born before the end of 37 weeks
3. Babies born before the end of 38 weeks
4. Babies born at completion of 42 weeks

Correct answer: 2. Babies born before the end of 37 weeks